All are fibrinolytic, except -
1. Streptokinase
2. Urokinase
3. Alteplase
4. Epsilon amino caproic acid

Correct answer: 4. Epsilon amino caproic acid

Explanation: Ans. is 'd' i.e., Epsilon amino caproic acid